Not true about hereditary spherocytosis -
1. Defect in ankyrin
2. Decreased MCV
3. Decreased MCHC
4. Reticulocytosis

Correct answer: 3. Decreased MCHC

Explanation: In Hereditary spherocytosis the MCHC(Mean corpuscular Hb Conc) is often increased above 35g/dL.(N=33-35 g/dL) Ref:Postgraduate Hematology by Victor Hoffbrand, pg 131 Ref Robbins 9/e pg 418